The corneal transparency is maintained by –
1. Keratocytes
2. Bowman's membrane
3. Descement's membrane
4. Endothelium

Correct answer: 4. Endothelium

Explanation: The most important factor in maintaining the hydration of cornea is the endothelium pump mechanism and therefore by maintaining the state of relative dehydration, it helps in maintains transparency.